Protein metabolism after trauma is characterized by the following except
1. Increased liver gluconeogenesis
2. Inhibition of skeletal nuscle breakdown by IL-1 and TNF
3. Increased urinary nitrogen loss
4. Hepatic synthesis of acute phase reactants

Correct answer: 2. Inhibition of skeletal nuscle breakdown by IL-1 and TNF